Muscle of expiration is/are -a) Diaphragmb) Internal intercostalc) External intercostald) Rectus Abdominis
1. ac
2. bd
3. cd
4. ab

Correct answer: 2. bd

Explanation: Muscles of expiration
-        Quite breathing- Elastic recoil of lung and chest wall.
-        Forced expiration- 
o   Internal intercostal
o   Intercostalis intimi
o   Transversus thoracis
o   Serratus posterior inferior
o   Subcostalis
o   Latissimus dorsi
o   Abdominal muscles
§  Rectus abdominis
§  Transversus abdominis
§  Internal oblique
§  External oblique